A 76 year old male comes with a history of frequent falls and difficulty in looking downwards and laterally. The diaganosis is -
1. Alzheimer's disease
2. Supranuclear palsy
3. Amyotropic lateral sclerosis
4. Oculomotor nerve nerve palsy

Correct answer: 2. Supranuclear palsy